The prognosis for teeth with root fracture is best when
the fracture occurs in the
1. Coronal one third of the root
2. Middle one third of the root
3. Apical one third of the root
4. Coronal half of the root

Correct answer: 3. Apical one third of the root